X-ray view for supra orbital fissure
1. Towne's
2. AP
3. Cald well
4. Basal

Correct answer: 3. Cald well